Which of the following enzymes are responsible for generating 'oxygen burst' within neutrophils for killing intracellular bacteria?
1. Superoxide dismutase
2. Glutathione peroxidase
3. NADPH Oxidase
4. Catalase

Correct answer: 3. NADPH Oxidase

Explanation: The final step in the microbial killing is due to reactive oxygen species called respiratory burst The generation of the oxygen metabolites is due to rapid activation of a leukocyte NADPH oxidase, called the phagocyte oxidase, which oxidizes NADPH and, in the process, converts oxygen to superoxide ion (O2 * ) The reactive oxygen species thus produced are toxic to bacteria and help the phagocyte kill them once they are ingested. ref robbins basic pathology 9th ed page 38